LHRH analogue used in breast cancer -
1. Cetrorelix
2. Anastrazole
3. Leuprolide
4. Tamoxifen

Correct answer: 3. Leuprolide

Explanation: Ans. is 'c' i.e., Leuprolide o Among the given options only leuprolide is GnRH (LHRH/FSHRH) analogue. o Cetrorelix is GnRH antagonist, tamoxifen is SERM and anastrozole is aromatase inhibitor.